Drugs which can produce erythroderma:
1. Penicillins
2. Colchicine
3. Stavudine
4. ACTH

Correct answer: 1. Penicillins

Explanation: Drugs which can produce erythroderma : Allopurinol Hydantoins p-Aminosalicylic acid Isoniazid Ampicillin Lithium Barbiturates Nitrofurantoin Captopril Penicillamine Carbamazepine Penicillin Cefoxitin Phenylbutazone Chloroquine Quinidine Chlorpromazine Streptomycin Cimetidine Sulphonamides Diltiazem Sulphonylureas Gold Thioacetazone (thiacetazone) Griseofulvin